In a small child diagnosed with H. influenza meningitis. What investigation must to be done before discharging him from the hospital?
1. BERA
2. MRI
3. CT scan
4. X-ray skull

Correct answer: 1. BERA

Explanation: a. BERA(Ref: Nelson's 20/e p 2936-2948, Ghai 8/e p 563-565)Sensorineural hearing loss is the most common sequelae of bacterial meningitis; So a hearing evaluation should be done before discharge of a child with meningitis, from hospital.